Type of human papilloma virus associated with carcinoma cervix
1. Types 6,12,18
2. Types 16,18,31
3. Types 6,8,11
4. Types 3,10,19

Correct answer: 2. Types 16,18,31

Explanation: High risk HPV: HPV-16, 18, 31, 33 & 45 → associated with cervical cancer.
Low risk HPV : HPV- 6 & 11 → associated with precursor lesions & CIN